Sudden onset of tics, obsessive-compulsive symptoms in a child after Scarlet fever is due to
1. Meningitis
2. Autoimmune
3. Misdiagnosis
4. Bacterial emboli

Correct answer: 2. Autoimmune

Explanation: Read about PANDAS (obsessive-compulsivepediatric autoimmune neuropsychiatric disorder associated with streptococcal A infection)